Ketone body formation without glycosuria seen in -
1. DM
2. DI
3. Prolonged starvation
4. Obesity'

Correct answer: 3. Prolonged starvation

Explanation: Ans. is 'c' i.e., Prolonged starvation o Amongst the given options, DM and starvation are the causes of ketosisDiabetes :- Ketosis with hyperglycemia and glycosuria Prolonged starvation :- Ketosis with low or normal glucose and without glycosuria.o In diabetic Ketoacidosis:- (i) Positive Rothera's test (due to ketone bodies) (ii) Positive Benedict's test (due to presence of reducing sugar in urine)o In Starvation ketosis:- (i) Postive Rothera's test (due to ketone bodies), (ii) Negative Benedict's test (no sugar in urine)